Carpel radiograph is used for assessment of:
1. Bone condition
2. Chronological age
3. Treatment plan
4. Skeletal maturation

Correct answer: 4. Skeletal maturation